Which structure can be felt at the lower part of the medial border of sternocleidomastoid:
1. Subclavian artery
2. Common carotid artery
3. Internal mammary artery
4. Maxillary artery

Correct answer: 2. Common carotid artery

Explanation: B. i.e. Common carotid artery